Which of the following are constituents of the cranial base?
1. Maxilla, mandible and cranial vault
2. Ethmoid, sphenoid and occipital
3. Palatal, nasal and zygoma
4. Frontal and parietal

Correct answer: 2. Ethmoid, sphenoid and occipital

Explanation: The cranial base includes from anterior to posterior, the ethmoid, sphenoid, and occipital  bone.